Argon Laser trabeculoplasty is done in -
1. Open angle glaucoma
2. Secondary glaucoma
3. Angle recession glaucoma
4. Angle closure glaucoma

Correct answer: 1. Open angle glaucoma

Explanation: In POAG Argon laser trabeculoplasty(ALT) has an additive effect to medical therapy . Its hypotensive effect is caused by increasing outflow facility, possibly by producing collagen shrinkage on the inner aspect of the.trabecular meshwork and opening the intratrabecular spaces. It has been shown to lower IOP by 8-10 mmHg in patients on medical therapy and by 12-16mmHg in patients who are jot receiving medical treatment Ref :Ophthalmology A K Khurana 6th edition chapter-10 page no :237